Tooth discolouration due to high biLirubin secretion is seen in the
1. Pink tooth of mummery
2. Ochronosis
3. Chlorodontia
4. Leong teeth

Correct answer: 3. Chlorodontia